Stimulation of α - adrenergic receptors in bladder results in
1. Voiding of urine
2. Urine storage
3. Urethral relaxation
4. Detrusor relaxation

Correct answer: 2. Urine storage

Explanation: α - adrenergic receptors stimulation results in urethral contraction and aids in urine storage and continence.